A most characteristic feature of acute in
1. Vasoconstriction
2. Vascular stasis
3. Margination of leucocytes
4. Vasodilatation and increased vascular permeability

Correct answer: 4. Vasodilatation and increased vascular permeability

Explanation: Acute inflammation has three major steps: -
Among these three major steps “The hallmark of acute inflammation is increased vascular permeability leading to escape of protein-rich fluid (exudates) into the extravascular tissue”.
Mechanism of increased vascular permeability
i. Formation of endothelial gaps in venules
ii. Direct endothelial injury resulting in endothelial cell necrosis and detachment.
iii. Delayed prolonged leakage
iv. Leucocyte mediated endothelial injury.